Which of the following is an occupational disease of dentist?
1. Syphilis
2. HIV
3. HBV
4. All the above

Correct answer: 4. All the above

Explanation: These include exposure to infections (including human immunodeficiency virus and viral hepatitis); percutaneous exposure incidents, dental materials, radiation, and noise; musculoskeletal disorders; psychological problems and dermatitis; respiratory disorders; and eye insults.